Which of the following statements about vasomotor centre (VMC) of medulla is true
1. Independent of corticohypothlamic inputs
2. Influenced by baroceptor signals but not by chemoreceptors
3. Acts along with the cardiovagal centre (CVC) to maintain Blood pressure.
4. Essentially Silent in sleep

Correct answer: 3. Acts along with the cardiovagal centre (CVC) to maintain Blood pressure.

Explanation: C i.e. Acts along with the cardiovagal centre (CVC) to maintain Blood pressure.- Vasomotor centre (VMC) controlling sympathetic outflow acts along with cardiovagal centre (CVC) controlling parasympathetic out flow to maintain blood pressureQ.- Baroreceptors, chemoreceptors and corticohypothalmic inputs influence VMCQ.- Baroreceptors are tonically active stretch receptors located in walls of aortic arch & carotid sinus. Discharge from baroreceptors cause inhibition of C/ neurons of vasomotor center (VMC) situated in upper (rostral) half of ventrolateral mdullaQ and facilitation of cardiovagal centre (CVC) or nucleus ambiguous.